Hypoxia causes vasoconstriction in
1. Muscle
2. Lungs
3. Liver
4. Spleen

Correct answer: 2. Lungs

Explanation: "O2 deficiency (Hypoxia), Accumulation of CO2,| PH produce vasoconstriction in the lungs. While these in the other tissues produce vasodilatation.Ref: Guyton; 13th edition